Vegetations in libman sacendocarditis are -
1. Large and fragile
2. Small warty along the line of closure of valve
3. Small or medium sized on either or both sides of valve
4. Small bland vegetations

Correct answer: 3. Small or medium sized on either or both sides of valve

Explanation: Libman-Sacks endocarditis is characterized by the presence of sterile vegetations on the valves of patients with systemic lupus erythematosus. The lesions probably develop as a consequence of immune complex deposition and thus exhibit associated inflammation, often with fibrinoid necrosis of the valve substance adjacent to the vegetation; subsequent fibrosis and serious deformity can result in lesions that resemble chronic rheumatic heart disease. These can occur anywhere on the valve surface, on the cords, or even on the atrial or ventricular endocardium. (Robbins Basic pathology,9th edition.pg no.394)